Which of the following opioid analgesic is suitable for haemodynamically unstable patients ?
1. Morphine
2. Meperidine
3. Fentanyl
4. Pentazocine

Correct answer: 3. Fentanyl